In the term 'CuT 200', the number denotes which of the following parameters?
1. Weight in Microgram
2. Weight in Milligram
3. Surface area
4. Length of Thread/Tail

Correct answer: 3. Surface area

Explanation: CuT 200 is otherwise known as Copper T. It refers to the surface area (in sq.mm) of the copper on the device.